What is true about antemortem wound? -
1. No staining left after washing
2. No gaping
3. Uncoagulated blood
4. Arterial bleed

Correct answer: 4. Arterial bleed

Explanation: the synopsis of forensic medicine & toxicology;Dr k.s narayan reddy; 28th edition; pg.no. 105; Arterial bleeding is present in antemortem wound ,all the other features are wrong regarding antemortem wound.